Basal ganglia calcification is associated with poisoning of?
1. Carbon dioxide
2. Carbon monoxide
3. Hydrogen sulfide
4. Sulfur dioxide

Correct answer: 2. Carbon monoxide

Explanation: Ans BCommon causes of basal ganglia calcification are aging, Fahr disease, carbon monoxide and lead poisoning, mineralizing microangiopathyMELAS, hypoparathyroidism, pseudohypoparathyroidism, TORCH infection.